Which law states that the amount of a substance crossing a given area is directly proportional to the area available for diffusion, concentration gradient and diffusion coefficient?
1. Universal gas law
2. Dalton's law
3. Fick's law
4. All of the above

Correct answer: 3. Fick's law

Explanation: Fick Law of Diffusion:
Diffusion is well described by Fick law of diffusion. According to this law, amount of a substance crossing a given area is directly proportional to the area available for diffusion, concentration gradient and a constant known as diffusion coefficient.
Thus, 
Amount diffused = Area x Concentration gradient x Diffusion coefficient
Formula of Fick law: